Type of circuit use in a child of age 5 yrs for anesthesia is?
1. Jackson Rees modification of Ayre's T piece
2. Mapleson A or Magill's circuit
3. Mapleson C or water's to & fro canister
4. Bain's circuit

Correct answer: 1. Jackson Rees modification of Ayre's T piece

Explanation: Ans is 'a' i.e. Jackson Rees modification of Ayre's T piece * Circuit of choice for spontaneous ventilation in adult - Mapleson A (Magill circuit)* Circuit of choice for controlled ventilation in adult - Mapleson D (Bain circuit)* Circuit of choice for children - Type F, i.e. Jackson-Rees (first choice) and type E, i.e. Ayre's T piece (second choice)* Co-axial systems Mapelson C (Waters to & fro)